True about Rectal Caa) Most common type is adenocarcinomab) Surgery is the treatement of choicec) Surgical treatment indicated inspite of hepatic metastasis.d) APR done in lesion of upper zone.
1. ab
2. abc
3. acd
4. bcd

Correct answer: 2. abc

Explanation: Adenocarcinoma is the most common type of rectal ca, just like colon carcinoma.
Similar to colon carcinoma t/t of rectal ca involves resection of the primary tumor, its lymphatic bed and any other involved organ.

Hepatic metastasis can be resected if the remaining liver is adequate for its functioning. Even if hepatic metastasis cannot be resected, surgery is done because it's the best way of palliation.
APR is done for lesions in the lower third of rectum. For upper & mid rectum a sphincter saving procedure - low anterior resection is done.